A 10 day old male pseudohermaphrodite child with 46 XY karyotype presents with BP of 110/80 mmHg. Most likely enzyme deficiency is:
1. 21 hydroxylase
2. 17 hydroxylase
3. 11 hydroxylase
4. 3-beta hydroxylase

Correct answer: 2. 17 hydroxylase

Explanation: Common symptoms of 17 hydroxylase deficinecy, include mild hypocortisolism, ambiguous genitalia in genetic males or failure of the ovaries to function at puberty in genetic females, and hypertension (respectively). Ref: Kliegman, Behrman, Jenson, Stanton (2008), Chapter 577, "Congenital Adrenal Hyperplasia", In the book, "NELSON TEXTBOOK OF PEDIATRICS", Volume 2, 18th Edition, New Delhi, Page 2360